A 25 year old male gives history of sudden painless loss of vision in one eye for the past 2 weeks. There is no history of trauma. On examination the anterior segment is normal but there is no fundal glow. Which one of the following is the most likely cause ?
1. Vitreous haemorrhage
2. Optic atrophy
3. Development cataract
4. Acute attack of angle closure glaucoma.

Correct answer: 1. Vitreous haemorrhage

Explanation: Information in this question are: - i) Sudden painless loss of vision ii) Normal anterior segment iii) No fundal glow (no red glow offundus). All three occur in vitreous hemorrhage.
Amongst the given options only vitreous hemorrhage causes sudden painless loss of vision. Optic atrophy and developmental cataract cause gradual loss of vision. Acute angle closure glaucoma can cause sudden painful (not painless) loss of vision.